Lines of Blaschko's are related to-
1. Keratinocytes
2. Blood vessels
3. Nerves
4. Bones

Correct answer: 1. Keratinocytes

Explanation: Blaschkos lines are linear patterns of migration of keratiniocytes and other nevi cells. theydo not correspond to vascular lymphatic or neural distribution or langers lines. Lesions that follow lines of blaschko incontinentia pigmenti mc cune Albright syndrome child syndrome nevus sebaceous epidermal nevus linear verucous epidermal nevus nevus depigmentosus darriers disease lichen sriatus linear psoriasis segmental vitiligo linear morphea iadvl text book of dermatology, page 174.